Child having perianal pruritus is the clinical feature of ...
1. E. Vermicularis
2. Ascaris
3. Ancylostoma duodenale
4. S stercoralis

Correct answer: 1. E. Vermicularis

Explanation: Enterobius vermicularis Enterobiasis occurs mostly in Children The worm produces intense irritation and pruritus of the perianal and perineal area, when it crawls out of anus to lay eggs.This leads to scratching and excoriation of skin around anus Ref:panikers textbook of Medical parasitology 8th edition page 196